In anterior colporrhaphy, the best method of suture apposing the vaginal flaps is:
1. Interrupted
2. Continuous
3. Interlocking
4. Interrupted mattress

Correct answer: 1. Interrupted

Explanation: ANTERIOR COLPORRHAPHY An inverted T incision is made on the anterior vaginal wall. the horizontal incision is made below the bladder and the vertical incision is made starting from the midpoint of the tranverse incision upto a point about 1.5 cm below the external urethral meatus. The traiangular vaginal flaps including the fascia on either sides are seperated from the endopelvic fascia covering the bladder by knife and gauze dissection.The line of clevage is vesicovaginal space and if properly negotiated the dissection is easy with minimal blood loss. the edges of the vaginal walls are retracted laterally The vesicocervical spaceis exposed. The pubocervical fascia is plicated by interrupted sutures with No&;O' chromic catgut using round body needle.The lower one or two stitches include a biteon the cervix, thus closing the hiatus through which bladder herniates The redundant portion of the vaginal mucosa is cut on either side. The cut margins of the vagina are apposed by interrupted sutures with No.'O'&;chromic catgut using cutting needle Catheter is reintroduced to ensure bladder is not injured Toileting of vagina is done Vagina is tightly packed with roller gauze smeared with anti septic cream D.C.DUTTA'S TEXTBOOK OF GYNAECOLLOGY,Pg no:213,6th edition